Thin zone of Grentz is seen in
1. Lepromatous leprosy
2. Sarcoidosis
3. Lymphoma
4. Syphilis

Correct answer: 1. Lepromatous leprosy

Explanation: Ans: a (Lepromatous leprosy) Ref: Harrison, 16th ed, p. 966Sub epidermal free zone or Grentz zone is seen in lepromatous leprosyNBRIDGEMicro Munro abcess is related to psoriasis.Pautriers micro abcess is related to mycosis fimgoidesLEPROMATOUS LEPROSYEpidermis may be normal or atrophicSub epidermal free zone - Grentz zoneAbundant bacilli in clumps or globiMacrophages show foamy appearance - foam cells or lepra cellsPerineural cell proliferation - onion peel appearancePresence of neural involvement is mandatory to differentiate it from other granulomatous inflammatory conditions like tuberculosis and sarcoidosisNote:Early involvement of'7th and 5th cranial nerve is a feature of BT/TT leprosyLagophthalmos (due to 7th c.n) and comeal anaesthesia (due to 5th c.n) is present.Cause of blindness in LL- iridocyclitisCause of blindness in TT- exposure keratitisSatellite lesions are present in BTDiffuse non nodular type of LL is lucio leprosy.Lepromin test is positive in TT, BTLepromin test is negative in LL, BL, BB